Erlotinib is used in -
1. Erlotinib is used in -
2. Pancreatic cancer
3. Gall bladder cancer
4. GIST

Correct answer: 2. Pancreatic cancer

Explanation: Ans. is 'b' i.e., Pancreatic cancer